The following are precursors of endometrial carcinoma except:
1. Atypical adenomatous hyperplasia
2. Atrophic endometrium
3. Adenocarcinoma in situ
4. Cystic hyperplasia

Correct answer: 2. Atrophic endometrium

Explanation: Premaliginant Lesions of Endometrium are:-
Simple hyperplasia: Endometrium is thick. The glands are dilated and have outpouching and inva-ginations. They are crowded and have irregular outlines. The stroma is more dense and cellular.
Complex hyperplasia: Endometrium is thicker. The gland are crowded and arranged back to back with reduced stroma. Most glands have irregular outlines. There are papillary processes and intraluminal bridges within the glands. Epithelial pseudostratification is present.
Atypical hyperplasia: The endometrial glands have cytologic atypia. The gland outlines are of complex hyperplasia in type. The nuclei of the glands show enlargement, irregular size and shape, hyperchromasia and coarse chromatin. Carcinoma-in-situ: Commonly describes a lesion with severe cytologic as well as architectural abnormalities of the glands.